Most common etiolopathogenetic cause of glaucoma is:
1. Raised pressure in episcleritic veins
2. Decreased outflow
3. Increased formation of aqueous humour
4. Increased scleral outflow

Correct answer: 2. Decreased outflow

Explanation: Ans: B i.e. Decreased outflow A sustained increase in intraocular pressure may be due to increased formation of the aqueous humour, difficulty in its exit, or a raised pressure in the episcleral veins of these, the first & last rarely occur, and it follows that raised intraocular pressure is essentially due to an increased resistance to the circulation of the aqueous at the pupil and/ or its drainage through the angle of the anterior chamber.